Which of the following helps in generating reactive O2 intermediates in neutrophils-
1. NADPH Oxidase
2. Superoxide dismutase (SOD)
3. Catalase
4. Glutathione peroxidase

Correct answer: 1. NADPH Oxidase

Explanation: ROS are synthesized the NADPH oxidase (phagocyte oxidase) pathway and are released from neutrophils and macrophages that are activated by microbes, immune complexes, cytokines, and a variety of other inflammatory stimuli. NADPH oxidase also called respiratory burst oxidase When the ROS are produced within lysosomes they function to destroy phagocytosed microbes and necrotic cells Catalase, superoxide dismutase and glutathione peroxidase are free radical scavengers that prevent oxygen-mediated injury ref robbins basic pathology 9th ed page 49